Excess deposition of calcium in the dentinal tubules is referred to as
1. Sclerotic dentin
2. Mantle dentin
3. Interglobular dentin
4. Intertubular dentin

Correct answer: 1. Sclerotic dentin